First fibres to be blocked in spinal anaesthesia is:
1. Sympathetic preganglionic
2. Afferent motor nerves
3. Sensory fibres
4. Different motor nerves

Correct answer: 1. Sympathetic preganglionic

Explanation: Sympathetic preganglionic